A patient present with dysphagia of 4 weeks duration. Now he is able to swallow liquid food only. Which of the following is the one investigation to be done -
1. Barium studies are the best in this case
2. Upper GI endoscopy is to be done
3. CT scan is needed
4. Esophageal manometry

Correct answer: 2. Upper GI endoscopy is to be done